Which of the following is a first-generation Cephalosporin used for surgical prophylaxis?
1. Ceftriaxone
2. Cefoxitin
3. Cefazolin
4. Cefepime

Correct answer: 3. Cefazolin

Explanation: First-Generation Cephalosporins: include - Cefazolin, Cephalexin, Cephradine, Cefadroxil, Cephalothin and Cephapirin Cefazolin is good for skin preparation as it is active against skin infections from S.pyogenes and MRSA. It is administered Intramuscular or Intravenous (i.e Parenteral drug).It is a drug of choice for surgical prophylaxis.Cefazolin does not penetrate the CNS and cannot be used to treat meningitis. Cefazolin is better tolerated than Antistaphylococcal Penicillins, and it has been shown to be effective for serious Staphylococcal infections e.g Bacteremia. Oral First generation drugs may be used for the treatment of urinary tract infections and Staphylococcal or Streptococcal infections, including cellulitis or soft tissue abscess.